Which of the following can be given as a transdermal patch
1. Flavoxate
2. Tolterodine
3. Oxybutynin
4. Aripiprazole

Correct answer: 3. Oxybutynin

Explanation: Oxybutynin is an anticholinergic that can be given as transdermal patch to control bladder overactivity.